Most common molluscum virus -
1. 1
2. 2
3. 3
4. 4

Correct answer: 1. 1

Explanation: REF:Textbook of microbiology, Ananthanarayan and Paniker. Page no.: 445, 465